Most common site of osteoma
1. Femur
2. Humerous
3. Tibia
4. Skull

Correct answer: 4. Skull

Explanation: Bone forming tumor Osteomas are benign lesions most commonly encountered in the head and neck, including the paranasal sinuses, but which can occur in elsewhere also. Hence the most apt answer is skull. Robbins basic pathology 9th edition page no 775,heading